Crown completion of Deciduous Mandibular Canine occur
1. At birth
2. 1 ½ month after birth
3. 2 ½ months after birth
4. 9 months after birth

Correct answer: 4. 9 months after birth